Treatment for CTEV should start at the age of:
1. 2 weeks
2. 1 month
3. Soon after birth
4. 9 months

Correct answer: 3. Soon after birth